Mechanism of action of transexaminic acid is
1. Decrease vascular permeability
2. Smooth muscle contraction
3. Activates Plasmin formation
4. Prevents fibrinolysis

Correct answer: 4. Prevents fibrinolysis

Explanation: Ans. is `d' i.e., Prevents fibrinolysis